Characteristic location of Ewings sarcoma is?
1. Epiphysis
2. Metaphysis
3. Diaphysis
4. Any of the above

Correct answer: 3. Diaphysis

Explanation: Diaphysis is the characteristic location of Ewings sarcoma.